Which of the following drug is not used topicallyfor open angle glaucoma?
1. Latanoprost
2. Brimonidin
3. Acetazolamide
4. Dorzolamide

Correct answer: 3. Acetazolamide

Explanation: Ans. is 'c' i.e., Acetazolamide Topical antiglaucoma drugs Pilocarpine Q%) -> 4ttmes a day Beta-blockers - a iimotot (0,25-0.5%) eye drops + 1-2 times a day a Timolot gel -+ Once a dny Betaxalol (0.5%) + twice daily c Levobunolol (0.25-0.5%) -+ l-2 times a day Carteolol (l -2%) -+ l-2 time a day u Metipranolot (0. 1-0.6%) -+ I -2 times a day Adrenergic Adreniline (l -2%\\+ twice dailY a Brimonidine (0.2%o) -+ twice daily Apraclonidine (0.59/o, I %) + twice daily Carbonic-anhydrase inhibitors a Dorzolamiie (2%) -+ 2-3 times a day Brinzolamide (1%) + 3 times a daY PG analoques a LatanoProst (0.005%) + once a daY a TravoProst (0.004%) -+ once a daY BimatoProst (0.03%) -+ once a daY Ans.